Which of the following is not a pre-requisits for transvaginal sonography (TVS)?
1. Consent
2. Fullbladder
3. Empty bladder
4. Lithotomyposition

Correct answer: 2. Fullbladder

Explanation: Ans. B. Full bladderTransvaginalsonographyisbest performedwith an emptybladder, which enables the pelvic organs to reach acloser proximity to the tip of the high-frequency transvaginal probe.On the other hand trans abdominal sonography is done with full bladder to get an overview of anatomy.